Lardsceous spleen is due to deposition of amyloid in -
1. Sinusoids of red pulp
2. White pulp
3. Splenic trabeculae
4. Penicillary artery

Correct answer: 1. Sinusoids of red pulp

Explanation: Robbins basic pathology : ninth edition, page no: 157 Amyloidosis of spleen often causes moderate or increase d enlargement. Amyloidosis may principally involve the splenic sinuses, eventually extending to the splenic pulp, with formation of large sheet like deposits (lardaceous spleen)